Which of the following is true about posterior cruciate ligament?
1. Attached to lateral femoral condyle
2. Intrasynovial
3. Prevents posterior dislocation of tibia
4. Relaxed in full flexion

Correct answer: 3. Prevents posterior dislocation of tibia

Explanation: Posterior cruciate ligament is stronger than the ACL and attaches to the posterior intercondylar area of the tibia. The posterior cruciate ligament ascends in an anteromedial direction to attach on the lateral surface of the medial femoral condyle.The posterior cruciate ligament resists posterior translation of the tibia on the femur or anterior translation of the femur on the tibia.